All of the following are autosomal dominant disorders except -
1. Tuberous sclerosis
2. Polyposis coli
3. Cystic fibrosis
4. Myotonic dystrophy

Correct answer: 3. Cystic fibrosis

Explanation: Ans. is 'c' i.e., Cystic fibrosis